A 70 year old man with a known history of Parkinson's disease is to receive prophylaxis against Influenza A virus. He is given a drug that is useful against Parkinson's disease as well for prophylaxis against influenza. The drug with which of the following mechanisms of action is most likely to have been given?
1. It prevents entry and penetration of the virus
2. It prevents uncoating of the virus
3. It prevents replication of the virus
4. It prevents assembly of newly synthesized virus particles

Correct answer: 2. It prevents uncoating of the virus

Explanation: The drug that is used for both Parkinson's and influenza is amantadine which is a dopamine facilitator or agonist. It acts by preventing the uncoating of viral particles.Ref: HL Sharma 3rd ed Pg: 797